All of the following are techniques of quantitative mangement, except -
1. Cost benefit nalaysis
2. Network analysis
3. Work sampling
4. Managemnet by objective

Correct answer: 4. Managemnet by objective

Explanation: - quantitative method are derived from the field of economics , operation research and budgeting. Some of these techniques include; - cost effective analysis - cost benefit analysis - cost accounting - input output analysis - model - system analysis - network analysis Reference : Park's textbook of preventive and social medicine, 23rd edition, pg no:872